Tome's fibres are:
1. With out but not with in the dentin
2. Odontoblastic processes in dental tubules
3. Type of sharpey's fibres
4. Originate from tome's granular layer

Correct answer: 2. Odontoblastic processes in dental tubules